Which of the following binds to Tyrosine Kinase receptor?
1. LH
2. Insulin
3. TSH
4. TRH

Correct answer: 2. Insulin

Explanation: Insulinand insulin like growth factor 1 receptors contain intrinsic ligand activatedtyrosine kinase activity. Receptor tyrosine kinases play a critical role in regulating cell differentiation, proliferation, growth and metabolism.